Which of the following type of cataract is seen in a person 1-2years following exposure to radiation?
1. Lamellar cataract
2. Christmas tree cataract
3. Posterior polar cataract
4. Posterior subcapsular cataract

Correct answer: 4. Posterior subcapsular cataract

Explanation: Radiation usually causes posterior subcapsular cataract which has their onset 1-2 years after completion of radiation therapy. A radiation dose of 15Gy is associated with a 50% risk of cataract formation. Christmas tree cataract is a rare form of age related cataract. In this type, the highly retractile multicolored needle shaped lenticular inclusions are seen within the deep perinuclear cortex of the lens. Posterior polar cataract is a rare form of congenital cataract with a round, discoid opacity located in the central posterior part of the lens adjacent to and merging with the posterior capsule. REF: Cataract Surgery from Routine to Complex: A Practical Guide By George J. C. Jin PAGE 21.